The intake of Iodine in to the Thyroid Gland is an example of which of the followings means of molecular transport?
1. Primary active transport
2. Secondary active transport
3. Facilitated diffusion
4. Endocytosis

Correct answer: 2. Secondary active transport

Explanation: Secondary active transport or co-transport, uses energy to transport molecules across a membrane against a concentration/electrochemical gradient.In contrast to primary active transport, there is no direct coupling of ATP; instead, the electrochemical potential difference created by pumping ions out of the cell is used. Primary active transport, also called direct active transport, directly uses energy to transport molecules across a membrane. Facilitated diffusion is a type of passive transport that allows substances to cross membranes with the assistance of special transport proteins. Endocytosis is a process by which cells absorb molecules (such as proteins) by engulfing them.